Intracellular inclusion bodies in rabies are
1. Bollinger bodies
2. Guameri bodies
3. Cowdry bodies
4. Negri bodies

Correct answer: 4. Negri bodies

Explanation: Ans. d (Negri bodies) (Ref. Q. 75 of MH-2005)Pathologic FeatureClinical ConditionAschoff bodiesRheumatic feverAsteroid bodiesSporotrichosisBunina bodiesAmyotrophic lateral sclerosisBollinger bodiesFowl pox (intracytoplasmic acidophilic)Call-Exner bodiesGranulosa cell tumor of ovaryCivatte (Colloid) bodieslichen planusCowdry bodiesHerpes (type A bodies)Polio and Adeno viral infection (type B bodies)Councilman bodiesToxic hepatitis,Viral hepatitis,Yellow feverDonovan bodiesGranuloma inguinaleDohle bodiesSepsis or severe inflammatory disordersDonath-Landsteiner antibodiesParoxysmal cold hemoglobinuriaFerruginous bodiesAsbestosisGamna-Gandy bodiesCongestive splenomegalyGlomeruloid bodies'GlioblastomaGaurnieri bodiesVacciniaHirano bodiesAlzheimer's diseaseHeinz bodiesG6PD deficiencyHematoxylin bodiesSLEHowell-Jolly bodiesAspleniaHalberstaeder-Prowazek (HP) bodiesTrachomaHX bodies (Berbeck's granules)Langerhan cell histiocytosis XLipschutz bodiesHerpes simplexLevinthal-Cole-Lillie bodiesPsittacosisLewy bodiesParkinsonismLD bodiesLeishmaniasisLafora bodiesMyoclonic epilepsyMallory hyaline bodiesAlcoholic liver diseaseIndian childhood cirrhosisPrimary Billiary CirrhosisMichaelis-Gutmann bodiesMalakoplakiaMiyagawa bodiesLGVMasson bodiesCryptogenic organizing pneumoniaNegri bodiesRabiesPsammoma bodiesTransitional meningiomaPapillary carcinoma thyroidSerous cystadenocarcinoma of ovaryMesotheliomaPick bodiesPick's disease and contain 3 repeat tauRussell bodiesMultiple myelomaReinke's crystalsHilus cell tumor (Leydig cell tumor)Sclerotic bodiesChromoblastomycosisSchaumann, residual & asteroid bodiesSarcoidosisSpironolactone bodiesAldesterone-producing adrenal adenomasSchiller-Duval bodiesYolk sac tumor (endodermal sinus tumor)Tuberculate sporesHistoplasmosisVerocay bodiesNeurilemmoma (Schwannoma)Weibel-Palade bodiesNormal intracellular stores of P-selectinZebra bodiesNiemann-Pick's diseaseEducational Table:Diagnostic Pathologic FeatureDisease1Flexner and Wintersteriner rosettes# Retinoblastoma2Necrosis and vascular or endothelial cell proliferation and pseudo-palisading nuclei# Astrocytoma3Perivascular pseudo-rosettes# Ependymoma4"Floating neurons" in the pools of mucopolysaccharide-rich fluid of the myxoid background# Dysembryoplastic neuroepithelial tumor5Extremely cellular, with sheets of anaplastic ("small blue") cells# Medulloblastomas7Calcification, present in as many as 90% of these tumors, ranges from microscopic foci to massive depositions# Oligodendroglioma8Cystic, with a mural nodule & if solid, it is usually well circumscribed.The tumor is composed of areas with bipolar cells with long, thin "hairlike" processes that are GFAP positive. Rosenthal fibers, eosinophilic granular bodies, and microcysts are often present# Pilocytic astrocytoma9Verocay bodies; Antoni A and B pattern of growth# Schwannoma10.'Onion bulb' appearance.# Relapsing polyneuropathy